A 300 gm force is applied through a canine retractor, the following change will be noticed:
1. Hyalinization
2. Rapid tooth movement
3. Frontal root resorption
4. None of the above

Correct answer: 1. Hyalinization